Most important factor determining convergence of light rays on the retina is :
1. Length of the eyeball
2. Refractive power of the lens
3. Curvature of the cornea
4. Physical state of the vitreous

Correct answer: 3. Curvature of the cornea

Explanation: Ans. (c) Curvature of the corneaRef: Optics of the human eye, p. 15-20Cornea is the most important refracting medium responsible for convergence of light rays to the retina because of its curvature and difference in refractive index from air to cornea.